"Loss of Head" is:
1. Death of a head of a family
2. Increased resistance to filtration in a sand filter (related to filtration capacity)
3. Death of a head in village panchayat
4. Death of a school teacher who is also a healthy worker of a school

Correct answer: 2. Increased resistance to filtration in a sand filter (related to filtration capacity)

Explanation: RAPID SAND OR MECHANICAL FILTERS
Filtration removes the remaining alum not removed by sedimentation. As filtration proceeds, the suspended impurities and bacteria clog the filters resulting in their reduced efficiency called "loss of head”.
Backwashing
Rapid sand filters need frequent washing daily or weekly, depending upon the loss of head. Washing is accomplished by reversing the flow of water through the sand bed, which is called "backwashing". It helps in dislodging the impurities and cleaning up the sand bed. 
Essentials of preventive and community dentistry 
Soben Peter 
5th edition